Pain due to stimulus non- painful stimulus that does not normally produce pain is called:
1. Allodynia.
2. Hyperalgesia.
3. Hyperasthesia.
4. Hyoerpathia.

Correct answer: 1. Allodynia.